Antemortem and postmortem wounds could be differentiated by all, except:
1. Everted margins
2. Blood clots in surrounding tissue
3. Swollen edges
4. Sharp edges

Correct answer: 4. Sharp edges

Explanation: D i.e. Sharp edges Antemortem wound shows gaping, everted and swollen edges with vital reactions of inflammation, infection & healingQ. It bleeds freely and shows extensive, deep and firmly adherent clotting (staining) of surrounding tissue which can't be washed awayQ.